Cells most sensitive to hypoxia are:
1. Myocardial cells
2. Neurons
3. Hepatocytes
4. Renal tubular epithelial cells

Correct answer: 2. Neurons

Explanation: The most sensitive neurons in the brain are in the pyramidal cell layer of the hippocampus (especially area CA1, also referred to as Sommer sector), cerebellar Purkinje cells and pyramidal neurons in cerebral cortex. Time for neuronal injury- 2 min For Myocardial cells- 20 mins Zones of liver: Zone 1- susceptible to toxin mediated injury Zone 3- susceptible to ischemic injury